FFHC stands for
1. Fund for human capacity
2. Freedom from hunger campaign
3. Fund for health corporation
4. Freedom from health corporation

Correct answer: 2. Freedom from hunger campaign

Explanation: The most important aspect of FAO's (Food and Agriculture organization) work is towards ensuring that the food is consumed by the people who need it, in sufficient quantities and in right proportions, to develop and maintain a better state of nutrition throughout the world.In this context, the FAO has organized a world freedom from Hunger Campaign (FFHC) in 1960.The main object of the campaign is to combat malnutrition and to disseminate information and education. Park 23e pg: 923